If a diabetic patient being treated with an oral hypoglycemic agent develops dilutional hyponatremia, which one of the following could be responsible for this effect?
1. Chlorpropamide
2. Tolbutamide
3. Glyburide
4. Glimepiride

Correct answer: 1. Chlorpropamide